If the circumflex artery gives off the posterior interventricular artery, then the arterial supply is called
1. Right dominance
2. Left dominance
3. Balanced dominance
4. Codominance

Correct answer: 2. Left dominance

Explanation: If the circumflex artery gives off the posterior interventricular artery, then the arterial supply is called left dominance. In 65% of the population, the posterior interventricular artery (PIVA) is a branch of right coronary artery and this is called the right dominance. In 10% of the population, PIVA is given by the circumflex artery (a branch of the left coronary artery) and this is called the left dominance. Ref: Gray's Anatomy 41st edition Pgno: 1019